Which of the lipids lack fatty acid?
1. Glycerol
2. Waxes
3. Cholestrol
4. lipoprotein

Correct answer: 3. Cholestrol

Explanation: Cholesterol and terpens lack fatty acid.